All are reducing sugars except
1. Sucrose
2. Lactose
3. Glucose
4. Fructose

Correct answer: 1. Sucrose

Explanation: Ans: a (sucrose) Ref: Vasudevan 4th ed/ p.68Any sugar with free aldehyde/ keto group will reduce the Benedict's reagent and is called a reducing sugar.All reducing sugars will form osazone with excess of phenylhydrazine when kept at boiling temperature. Osazones may be used to differentiate sugars in biological fluids like urine.Examples of reducing sugars:-GlucoseLactoseFrutoseMaltoseSucrose and trehalose are not reducing sugars.Note:Benedict's reagent - Sodium bicarbonate, Copper sulphate and sodium ci